DSM265 is having promising trials in the treatment of
1. Tuberculosis
2. Leprosy
3. Malaria
4. Trypanosoma

Correct answer: 3. Malaria

Explanation: DSM265 an inhibitor of dihydroorotate dehydrogenase is effective in single oral dose both in prophylaxis and treatment against P.falciparum. Proposed to give as a single dose. Ref:www.thelancet.comjournals.